True about extraperitoneal urinary bladder rupture is all except:
1. Associated with fracture
2. More common than Intraperitoneal bladder rupture pelvis in about 70% cases
3. Commonly associated with anterior urethral rupture
4. Can be managed conservatively without surgical intervention

Correct answer: 3. Commonly associated with anterior urethral rupture